Shag Carpet appearance is associated with
1. MTA
2. Dentin Bonding agent
3. Amalgam
4. Composite

Correct answer: 2. Dentin Bonding agent

Explanation: Microscopic appearance of substrate dentin and etchant is known as Shag Carpet Appearance.